Teeth bite marks are which type of abrasion:
1. Pressure Abrasion
2. Contusions
3. Graze abrasion
4. Linear abrasion

Correct answer: 1. Pressure Abrasion

Explanation: Ans. (a) Pressure AbrasionRef: The Essentials of FSM by K.S. Narayan Reddy 31st ed. /166-67* Abrasion: An injury involving superficial layers of skin & is caused by friction between skin & some rough object. It is of 3 types:ScratchGrazeImprint/Pressure/ Contact abrasion* Produced by sharp object as pin* Direction of injury is indicated by sharp edge initially & heaped up epithelium at end* Also known as Friction or brush burn* Produced when broad surface of skin slides against rough surface* Also known as Patterned abrasion* Produced as a result of direct impact or pressure with some object.* Example: ligature mark in hanging & strangulation; nail & thumb mark in throttling; teeth mark in biting; tire marks in accident etc.